Radiation exposure during infancy has been linked to which one of the following carcinomas –
1. Breast
2. Melanoma
3. Thyroid
4. Lung

Correct answer: 3. Thyroid

Explanation: Papillary carcinoma thyroid may develop due to radiation exposure in infancy.